A 29 year old woman has severe manic episode. She has been diagnosed with bipolar affective disorder. Among the following, which one is not used for the prophylaxis of her illness?
1. Valproate
2. Lithium
3. Carbamazepine
4. Trifluoperazine

Correct answer: 4. Trifluoperazine

Explanation: Ans. D. TrifluoperazineLithium, Valproate and Carbamazepine are used in prophylaxis of Bipolar disorder.It requires frequent blood level monitoring owing to its narrow therapeutic index because lithium is the drug of choice.Sodium valproate cannot be utilized owing to possible teratogenicity to the foetus in women of childbearing age. All mood stabilizers work by preventing manic episodes having minimal effect on the depression.